Which of the following represents an orally available fixed Beta-Lactamase Inhibitor and Antibiotic Combination.
1. Ampicillin-Sulbactum
2. Piperacillin-Tazobactum
3. Amoxicillin-Clavulanic acid
4. Ticarcillin-Clavulanic Acid

Correct answer: 3. Amoxicillin-Clavulanic acid

Explanation: Amoxicillin and Clavulanic acid is the only Beta-Lactamase inhibitor + Antibiotic Combinations that is available for oral administration. Amongst the three most commonly available Beta-Lactamase inhibitor (Clavulanic acid, Sulbactum and Tazobactum), only Clavulanic acid is orally absorbed. Amoxicillin and clavulanic acid are well absorbed orally and also can be given parenterally. All other beta lactamase fixed dose combinations with antibiotics are available only for parenterally use. Beta-lactamase Inhibitor + Antibiotic Combinations Beta lactamases are antibiotic-inactivating enzymes produced by resistant bacteria that hydrolytically inactivate the Beta-lactam ring of penicillins, Cephalosporins, and related drugs like Carbapenems. Beta-Lactamase Inhibitor + Antibiotic combinations Penicillin-Beta Lactamase: Amoxicillin-Clavulanate Ticarcillin-Clavulanate Ampicillin-Sulbactum Piperacillin-Tazobactum Cephalosporin-Beta Lactamase Ceftolozane-tazobactum Ceftazidime-avibactum Carbapenem-Beta Lactamase Meropenem-vaborbactum Imipenem-Relebactum Ref: KDT 7th edition Pgno: 723